Dowry death is punishable under
1. 304 A IPC
2. 320 IPC
3. 304 B IPC
4. 354 B IPC

Correct answer: 3. 304 B IPC

Explanation: Refer the byte "Legal sections".